Geniculate neuralgia is caused in which of the following nerve?
1. 5
2. 6
3. 7
4. 8

Correct answer: 3. 7

Explanation: Geniculate neuralgia (Nervus intermedius neuralgia) results from herpes zoster infection of geniculate ganglion and nervus intermedius branch of seventh cranial nerve.